Reaction occuring in conversion of norepinephrine to epinephrine-
1. Hydroxylation
2. Oxidation
3. Glucuronidation
4. Methylation

Correct answer: 4. Methylation

Explanation: Ans. is 'd' i.e., MethylationDopaTyrosine hydroxylase--------- Tyrosinase ..-------- DopaTyrosine|Dopa decarboxylase| | TyrosinaseDopamine Throxine (T4)Dopaquinone|b-oxidaseTriiodothyronine|(b-bydroxylase) NorepinephrineMelanin|N -methyl transferase (N-methylation)Epinephrine